Dead bone in X ray is?
1. More radiopaque
2. More radiolucent
3. Same as normal bone
4. Variable

Correct answer: 1. More radiopaque

Explanation: ANSWER: (A) More radiopaqueREF: Principles of bone x-ray diagnosis by George Simon p. 62Dead bone as seen in Aavascular necrosis, perthe's disease, TB, osteomyelitis is usually more opaque than normal in X ray